Which of the following is a nonculturalable fungus?
1. Rhinosporidium
2. Candida
3. Sporothrix
4. Penicillium

Correct answer: 1. Rhinosporidium

Explanation: Ans. is 'a' i.e., Rhinosporidium . Rhinosporidium seeberi has not been cultivated in media. . Blastospores (Blastoconidia) are formed by cladosporum. . Chlamydospores (Chlamydoconidia) are formed by Candida albicans. Phialoconidia are formed by Aspergillus fumigatus